Which of the following will cause an increase in the prevalence of the disease -
1. Immigration of healthy persons
2. Increased cure rate of the disease
3. Longer duration of the disease
4. Emigration of diseased persons

Correct answer: 3. Longer duration of the disease

Explanation: P = I x D
Increase in incidence or duration of disease results in increased prevalence.